Finasteride is a -
1. 5-a reductase inhibitor
2. PDE inhibitor
3. Alpha blocker
4. Androgen receptor blocker

Correct answer: 1. 5-a reductase inhibitor

Explanation: Ans. is 'a' i.e., 5-a reductase inhibitor Finasterideo It is a competitive inhibitor of enzyme 5a-reductase which converts testosterone into more active dihydrotestosterone responsible for androgen action in many tissues including prostate gland and hair follicle,o It is relatively selective for 5a reductase type-2 isoenzyme which predominates in male urogenital tract,o It is used for -Benign prostatic hypertrophy (BHP)Male pattern baldnessHirusitismDutasteride (Has been added to 6th/e of KDT)o Finasteride congener, inhibits both type 1 and type 2 5a-reductase and reduces dihydrotestosterone level,o It is very long acting - t1/2 - 9 weeks.o Side effects are deceased libido impotence and decreased volume of ejaculate, skin rash, swelling of lips.